Thalidomide is used in all of the following except:
1. HIV associated peripheral neuropathy
2. HIV associated aphthous (mouth) ulcers
3. Behcet syndrome
4. Erythema nodosum leprosum

Correct answer: 1. HIV associated peripheral neuropathy

Explanation: Erythema Nodosum Leprosum (ENL) Initial: 100-300 mg PO qHS More severe reaction may start at 400 mg Continue until active symptoms subsided, at least 2 weeks, THEN Titrate down by 50 mg increments q2-4Weeks Multiple Myeloma 200 mg PO qHS in 28 day cycles Take 40 mg of dexamethasone on days 1-4, 9-12, 17-20 of 28 days GVHD Indicated for prevention and treatment of graft versus host disease Mycobacterial infection Indicated for treatment of the clinical manifestations of mycobacterial infection caused by Mycobacterium tuberculosis and non-tuberculous mycobacteria Recurrent aphthous ulcers Indicated for treatment and prevention of recurrent aphthous ulcers in severely, terminally immunocompromised patients Severe recurrent aphthous stomatitis Indicated for treatment of severe recurrent aphthous stomatitis in severely, terminally immunocompromised patients Primary brain malignancies Indicated for treatment of primary brain malignancies HIV-associated wasting syndrome Indicated for treatment of HIV-associated wasting syndrome Crohn's disease Indicated for treatment of Crohn's disease Kaposi's Sarcoma Indicated for treatment of Kaposi's Sarcoma Myelodysplastic syndrome Indicated for treatment of myelodysplastic syndrome Hematopoietic Stem Cell Transplantation :Indicated for conditioning treatment prior to hematopoietic stem cell transplantation REFERENCE: www.medscape.com